Regarding Bispectral index monitor all are true except
1. Monitors depth of anaesthesia
2. Decrease the dose of agent once BIS value falls below 40
3. Increase the dose of agent once BIS value falls below 40
4. Increase the dose of agent once BIS value goes beyond 60

Correct answer: 3. Increase the dose of agent once BIS value falls below 40

Explanation: Increasing BIS value suggests regaining consciousness, so need to increase the dose and vice versa (Target BIS value = 40–60).